Which of the following manifestation is seen in metabolic encephalopathy?
1. Motor aphasia
2. Sensory aphasia
3. Conduction aphasia
4. Anomic aphasia

Correct answer: 4. Anomic aphasia

Explanation: Metabolic encephalopathy: damage by ammonia or urea intoxication that will contribute to anomic aphasia (difficulty in naming objects) - Uremic / hepatic encephalopathy / CO2 narcosis Motor Aphasia: Broca's area Sensory Aphasia: Wernicke's area Conduction Aphasia: arcus fasciculus